Soap bubble appearance on MRI brain is a feature of?
1. Neurocysticercosis
2. Cryptococcosis
3. Tuberculosis
4. Toxoplasmosis

Correct answer: 2. Cryptococcosis

Explanation: SOAP BUBBLE appearence on MRI brain- Cryptococcal meningitis. SOAP BUBBLE appearence on USG abdomen- Multicystic dysplastic kidney. SOAP BUBBLE appearence on Knee radiograph- GCT. SOAP BUBBLE appearence on X-Ray in New borns-Meconium ileus.